Which of the following test shows yellow needle shaped crystals of spermine picrate?
1. Florence test
2. Barberio's test
3. Takayama's test
4. Teichmann test

Correct answer: 2. Barberio's test

Explanation: CHEMICAL METHODS FOR DETECTION OF SEMEN Barberio's test Spermine present in semen reacts with picric acid to form yellowish needle shaped crystals of spermine picrate. Florence's test Choline from semen reacts with Florence solution (potassium iodide + iodine + distilled water) to form brownish rhomboid shaped crystals of choline iodide. CRYSTAL TESTS FOR BLOOD STAINS Teichmann test(Hemin crystal test): stain extract and few crystals of sodium chloride are taken and heated with glacial acetic acid. If stain happened to be blood, dark brown rhomboid shaped crystals will be formed as visible under microscope. Takayama test(Hemochromogen crystal test): when bloodstain extract is heated with Takayama reagent (Pyridin + NaOH + glucose & distilled water), pink feathery crystals will be visible under microscope.